As per AJCC breast cancer staging T4 is?
1. Distant metastasis
2. Satellite lesions
3. Spread to contralateral axillary lymph nodes
4. Sentinel lymph node involvement

Correct answer: 2. Satellite lesions

Explanation: Ans. (b) Satellite lesionsRef: Schwartz 10th ed. / 532ToNo evidence of primary tomorTISCarcinoma in situT1Tumor <2 cmT1aTumor > 0.1 cm but < 0.5 cmT1bTumor > 0.5 but < 1 cmT1cTumor > 1 cm but <2 cmT2Tumor > 2 cm but <5 cmT3Tumor >5 cmT4Extension to chest wall, inflammation, satellite lesions, ulcerations